Which of the following has maximum medium chain fatty acid content:
1. Sunflower oil
2. Flaxeed oil
3. Coconut oil
4. Fish oil

Correct answer: 3. Coconut oil

Explanation: Maximum Medium chain fatty acid content is in Coconut oil. Fatty Acid Length of chain Short chain 2-4 C Medium chain 6-12 C Long chain 14-20 C Very Long chain >20 C Coconut oil has: Has highest content of medium chain fatty acids. They are absorbed directly into blood. They can cross inner mitochondrial membrane without carnitine shuttle system. Has no effect on atherosclerosis (VLFAs) are usually found in brain.